Lower border of posterior belly of digastric is related to:
1. Posterior auricular artery.
2. Occipital artery.
3. Palatine artery.
4. Ascending pharyngeal artery.

Correct answer: 2. Occipital artery.

Explanation: It's upper border is related to posterior auricular artery.